Among the following, which is the most effective antioxidant:
1. Vitamin A
2. Vitamin C
3. Vitamin E
4. Vitamin K

Correct answer: 3. Vitamin E

Explanation: Ans. (c) Vitamin ERef: Harper's Biochemistry, 30th ed. pg. 553, 564* Vitamin E has many biological functions, the antioxidant function being the most important and/or best known.* Other functions include:# Enzymatic activities# Gene expression# Neurological function and# Cell signaling* As an antioxidant, vitamin E acts as a peroxyl radical scavenger, preventing the propagation of free radicals in tissues.* It does so by reacting with ROS to form a tocopheryl radical, which will then be reduced by a hydrogen donor (such as vitamin C) to its reduced state. As it is fat- soluble, it is incorporated into cell membranes, which protects them from oxidative damage.